Radiation is most commonly associated with which of following cancer?
1. Leukemia
2. Lymphoma
3. Lung carcinoma
4. Osteoblastoma

Correct answer: 1. Leukemia

Explanation: Ans is 'a' i.e. Leukemia o Leukemia is the most common radiation-induced cancer. All leukemias, except CLL, can be caused by radiationso Other tumors caused by radiation exposure are thyroid carcinoma (especially papillary carcinoma), breast cancer and skin cancers (squamous cell and melanoma).